In ca esophagus predisposing factors ?
1. Tylosis
2. Smoking
3. Lye stricture
4. All

Correct answer: 4. All

Explanation: Answer is 'a' i.e. Tylosis; 'b' i.e. Smoking; 'c' i.e. Lye stricture